Ascending UTI caused by -a) Salmonellab) T.B.c) E.colid) Chlamydiae) Klebsiella
1. abd
2. cde
3. bde
4. ade

Correct answer: 2. cde